G-coupled protein receptor is:
1. Metabotropic receptor
2. Ionic receptor
3. Kinase-linked receptor
4. Nuclear receptor

Correct answer: 1. Metabotropic receptor

Explanation: Metabotropic receptors- most common type of receptoors Involved in various metabolisms These receptors do not have ion channels as part of their structure; instead, they affect channels by the activation of intermediate molecules called G-protein.For this reason, metabotropic receptors are also called G-protein-coupled receptors. They have a determinant - alpha subunit Adrenergic receptors are GPCRs Ref" KD Tripathi 8th ed